Common cause of chronic pancreatitis:
1. Chronic alcohol intake
2. Trauma
3. Pancreas divisum
4. Gallbladder stones

Correct answer: 1. Chronic alcohol intake

Explanation: - Chronic Pancreatitis - M/C cause - chronic alcohol intake>smoking Aetiology: TIGAR-O-Classification: T: Toxic metabolic I: Idiopathic G: Genetic A: Auto immune R: Recurrent severe O: Obstructive Note: Rare causes: Congenital abnormalities such as: 1. Pancreas divisum2. Annular pancreas